Triple test for Down syndrome is by using all EXCEPT:
1. Maternal HCG
2. Maternal Estriol
3. Maternal Alphafetoprotein
4. Maternal Inhibin A

Correct answer: 4. Maternal Inhibin A

Explanation: Ans. D i.e. Materal HPL Inhibin A is counted in Quadruple test for Down syndrome.